Rhythmic contractions of the uterus elicited by bimanual examination at 4-8 weeks is called
1. Palmer's sign
2. Hegar's sign
3. Braxton Hick's sign
4. Goodell's sign

Correct answer: 1. Palmer's sign

Explanation: Palmer's sign Rhythmic contractions of the uterus can be elicited by bimanual examination as early as 4-8 weeks Ref: FORENSIC MEDICINE AND TOXICOLOGY Dr PC IGNATIUS THIRD EDITION PAGE 330